All are true regarding Lymphatic Filariasis except
1. Causative agent - Wuchereria bancrofti
2. Intermediate host - Man
3. Main vector in India - Culex quinquefasciatus
4. Most common epidemiological method for detection - thick film preparation

Correct answer: 2. Intermediate host - Man

Explanation: Discussing options one by one: Option -1 - True : Causative agent of lymphatic filariasis - Wuchereria bancrofti Option- 2 - False : Intermediate host in lymphatic filariasis is Mosquito; Definitive host is MAN. Option- 3 - True : Main vector in India - Culex quinquefasciatus Option- 4 - True : Most common epidemiological method for detection - thick film preparation. - Chemotherapy is done by - DEC (Diethylcarbamazine). - Also remember, to detect low-density microfilaraemia, Membrane filter concentration (MFC) method is the most sensitive one.